Sterilisation procedure with maximum chances of reversal is :
1. Pomeroy's tubal ligation
2. Irwing's technique
3. Laparoscopic tubal ligation with silastic bands
4. Laparoscopic tubal ligation with clips

Correct answer: 4. Laparoscopic tubal ligation with clips

Explanation: Ans. is d i.e Laparoscopic tuba! ligation with clips Amongst the given options. Irving's method : Where the mid portion of the tube is ligated and the intervening part excised. The proximal end is buried in the myometrium and distal part is buried in the broad ligament is an irreversible method. In pomeroy's method : Which is the most popular method, after identifying the tubes, the middle part is formed into a loop which is tied at the base with catgut and excised. Failure rate being 0.4%. Here also reversal will not be very easy. Obviously laparoscopic methods have better chances of reversal as in these method no cutting of tube is involved - rather after forming a loop at the junction of proximal and middle third of the tube a band or clip is applied. "Clips provided good chances for tubal reanastamosis." Also the chances of failure of clips 3.65% whereas that of bands as 1.77%. Any method with high failure rate will have higher reversal rate.